Adult polycystic kidney disease is inherited:
1. X-linked dominant
2. X-linked recessive
3. Autosomal recessive
4. Autosomal dominant

Correct answer: 4. Autosomal dominant

Explanation: Ans. D: Autosomal dominantAutosomal dominant polycystic kidney disease (ADPKD) is one of the most common inherited disorders. It is the most frequent genetic cause of renal failure in adults,It is a multisystemic and progressive disorder characterized by the formation and enlargement of cysts in the kidney and other organs (e.g., liver, pancreas, spleen).Clinical features usually begin in the third to fourth decade of life, but cysts may be detectable in childhood and in utero.Some other autosomal dominant disorders:Huntington choreaNeurofibromatosisMyotonic dystrophyHereditary spherocytosisMarfan syndromeOsteogenesi imperfectAchondroplasia